Bilateral ovarian cancer with capsule breached ascites positive for malignant cells, Stage is:
1. I
2. II
3. III
4. IV

Correct answer: 1. I

Explanation: Stage of the tumor is IC according to Figo staging. Ref: Textbook of Gynaecology Edited By Shaw, Soutter, Stanton, 2nd Edition, Page 632 ; Methods of Cancer Diagnosis, Therapy and Prognosis: Ovarian Cancer, Renal By M. A. Hayat, 2010, Page 249